Onion skin appearance is seen in:
1. Chronic osteomyelitis
2. Chronic osteomyelitis with proliferative periostitis
3. Garre’s chronic non-suppurative sclerosing osteitis
4. Both 2 and 3

Correct answer: 4. Both 2 and 3

Explanation: Radiographic picture—Classical onion skin appearance due to cortical layer duplication is seen in both chronic osteomyelitis with proliferative periostitis and Garre’s chronic non suppurative sclerosing osteitis.